A patient has 2 months POP cast for tibial fracture of left leg. Now he needs mobilisation with a single crutch. You will use this crutch on which side:
1. Left side
2. Right side
3. Any side
4. Both side

Correct answer: 2. Right side

Explanation: B i.e. Right side